All are true about atypical depression except
1. Increased sleep and appetite is present
2. Weight gain can be seen
3. Fatigue & heaviness of the lower limbs is present
4. Mood reactivity to positive stimulus is absent

Correct answer: 4. Mood reactivity to positive stimulus is absent

Explanation: Mood reactivity of positive stimulus is present, that is patient feels better if some positive events occur in life.
Mood reactivity is absent in Melancholic depression.